Best specimen for rabies diagnosis in living person:
1. Corneal smear
2. CSF
3. Biopsy of hair follicle of neck
4. Brain biopsy

Correct answer: 3. Biopsy of hair follicle of neck

Explanation: o Biopsy of hair follicle of base of neck is more sensitive and considered as the best sample for direct florescent antibody (DFA) test done for antemortem diagnosis of Rabies. o Corneal smears, biopsy from hair follicle from the nape of the neck, and saliva are the used specimens for antemortem diagnosis of rabies. o Corneal impression smear is only 30% sensitive, mainly it is positive in late stage. o The brain biopsy of the dead animal is the specimen of choice for postmortem diagnosis of rabies.